Most common cause of acute intestinal obstruction in children is:
1. Intussusception
2. Inguinal hernia
3. Volvulus
4. Internal hernia

Correct answer: 1. Intussusception

Explanation: Ans. (a) IntussusceptionRef: Bailey 26th edition, Page 1184* Most common cause in children: Intussuscpetion* Most common cause in adults: Adhesions